Vaginal bleeding in a neonate is commonly due to:
1. Sarcoma boytroides
2. Trauma of delivery
3. Hormonal withdrawal
4. Viral infection

Correct answer: 3. Hormonal withdrawal

Explanation: Hormonal withdrawal